Apoptotic bodies are:
1. Clumped chromatin bodies
2. Pyknotic nucleus without organelles
3. Cell membrane-bound with organelles
4. Mitochondrial fragments

Correct answer: 3. Cell membrane-bound with organelles

Explanation: Apoptotic cells break up into fragments, called apoptotic bodies Bodies contain portions of the cytoplasm and nucleus. The plasma membrane of the apoptotic cell and bodies remains intact, but its structure is altered in such a way that phospholipids such as Phosphatidyl serine which are supposed to be present on the inner side flips outwards. This acts as a receptors for phagocytes. The dead cell and its fragments are rapidly devoured before the contents have leaked out, and therefore cell death by this pathway does not elicit an inflammatory reaction in the host.